Which of the following tumor is associated with BRAF mutation?
1. Adenocarcinoma Colon
2. Medullary thyroid carcinoma
3. Hodgkin's lymphoma
4. Hepatocellular carcinoma

Correct answer: 1. Adenocarcinoma Colon

Explanation: Tumors associated with BRAF mutation are: Melanoma Adenocarcinoma of colon Papillary thyroid carcinoma Hairy cell leukemia Langerhans cell histiocytosis - BRAF inhibitors Debrafenib ,vemurafenib have demonstrated efficacy in patients with lung cancer harboring BRAF mutations